Which of the following infections is most likely associated with a vaginal pH of 4?
1. Atrophic vaginitis
2. Candidal vaginits
3. Trichomonas vaginitis
4. Gardnella vaginitis

Correct answer: 2. Candidal vaginits

Explanation: Candida vaginitis is caused by candida albicans. It grows in an acidic pH. This infection is more likely in patients with diabetes, those receiving antibiotics, steroids, OCP and during pregnancy. Patients present with curdy white discharge and intense vulvovaginal pruritis. On examination, discharge is thick, and curdy white flakes are adherent to the vaginal wall. Removal of white flakes reveals multiple oozing spots. Treatment includes topical application of nystatin or imidazole group drugs. Ref: Textbook of Gynecology By DC Dutta, 4th Edition, Pages 143, 154-5